Which of the following beta adrenergic agonist is used as an aerosol for treatment of bronchial asthma?
1. Salbutamol
2. Ketotifen
3. Fluticasone
4. Monteleukast

Correct answer: 1. Salbutamol

Explanation: Ans: a (Salbutamol) Ref: KDT, 5 ed, p. 217Salbutamol (albuterol) is a highly selective beta 2 agonist.Inhaled salbutamol produces bronchodilation within 5 min and the action lasts for 2-4 hours.Drugs used tor bronchial asthma:Bronchodilators:a. Sympathomimetic-AdrenalineEphedrineIsoprenalinesalbutamolterbutalineb. Methylxanthines-Theophyllineaminophyllinec. Anticholinergics-AtropineIpratropium bromideTiotropium bromideLeukotriene antagonist:MonteleukastzafirleukastMast cell stabilizers:Sodium cromoglycateNedocromil, ketotifenLipoxygenase inhibitors:ZileutonPhosphodiesterase III/ IV inhibitor:PiclamelastCorticosteroids:a. Systemic-HydrocortisonePrednisoloneb. Inhalational-Beclomethesone dipropionateBudesonideFluticasone propionateFlunisolide